Interpeducular fossa contains all except :
1. Mammiallary bodies
2. Posterior perforated substance
3. Occulomotor nerve
4. Opthalmic nerve

Correct answer: 4. Opthalmic nerve

Explanation: D i.e. Ophthalmic nerve